Which of the following is the most common benign neoplasm of liver
1. Hepatic adenoma
2. Cavernous hemangioma
3. Lipoma
4. Nodular regenerative hyperplasia

Correct answer: 2. Cavernous hemangioma

Explanation: Most common benign neoplasm is cavernous hemangioma
Most common hepatic neoplasm is metastasis
Most common primary malignant tumor is Hepatocellular carcinoma.